Heaptitis A true is
1. 3% incidence of carrier state
2. Causes mild illness in children
3. Sexual route common
4. 10% transform into HCC

Correct answer: 2. Causes mild illness in children